Conn's syndrome is associated with all the following, except:
1. Hypertension
2. Hypokalemia
3. Muscle weakness
4. Metabolic acidosis

Correct answer: 4. Metabolic acidosis

Explanation: Conn's syndrome is associated with metabolic alkalosis, not with metabolic acidosis. Conn's syndrome refers to primary hyperaldosteronism due to an adrenal adenoma. Increased aldosterone secretion results in hypokalemia from increased excretion of potassium and metabolic alkalosis due to increased hydrogen ion secretion. Ref: Harrisons Internal Medicine, 18th Edition, Pages 2949-2951 ; Hypertension By Joseph Cheriyan, Page 148 ; Mosby's Handbook Of Diseases By Rae Langford, 3rd Edition, Page 28